A patient presents with keratoconjunctivitis. The differential diagnosis should include infection with which of the following viruses?
1. Parvovirus
2. Adenovirus
3. Epstein-Barr virus
4. Respiratory syncytial virus

Correct answer: 2. Adenovirus

Explanation: Adenovirus type 8 is associated with epidemic keratoconjunctivitis, while adenovirus types 3 and 4 are often associated with "swimming pool conjunctivitis." There are also reports of nosocomial conjunctivitis with adenovirus. Herpes simplex virus can infect the conjunctiva and is among the most common causes of blindness in North America and Europe.